Port-Wine stain is common in:
1. Von Hipple-Lindau syndrome
2. Sturge-Weber syndrome
3. Denys-Drash syndrome
4. Holt-Oram syndrome

Correct answer: 2. Sturge-Weber syndrome

Explanation: Ans. (b) Sturge-Weber syndromeRef: Bailey 26th edition, Page 599Port-Wine stain may be associated with various syndrome* Sturge-Weber syndrome* Klippel-Trenaunay syndrome* Proteus syndrome